Broca's area is concerned with
1. Word formation
2. Comprehension
3. Repetition
4. Reading

Correct answer: 1. Word formation

Explanation: Broca's area or areas 44, 45 is a region in the frontal lobe with functions linked to speech production. Broca's area also plays a significant role in language comprehension. Lesions involving the Broca's motor speech area results in motor aphasia, also known as Broca's aphasia. Ref: guyton and hall textbook of medical physiology 12 edition page number: 841,842,843